Drug used in congenital heart disease to keep PDA patent
1. PGEi
2. PGE2
3. PGI2
4. Indomethacin

Correct answer: 1. PGEi

Explanation: Ans. is 'a' i.e., PGE, Prostaglandin El (PGE1) infusion usually effective in keeping the ductus arteriosus open before surgical intervention to reduce hypoxemia and acidemia before surgery in ductus dependent lesion like. Pulmonary atresia TOF with severe PS TOF with pulmonary atresia Transposition of great arteries with VSD and PS Indomethacin is used for ductal closure